All are true about V. cholera except?
1. VR media is transport media
2. Alkaline peptone water is enrichment media
3. Selective media is bile salt agar
4. Multi-flagellated bacteria

Correct answer: 4. Multi-flagellated bacteria

Explanation: Ans. (d) Multi-flagellated bacteria